Which of the following cells are involved in the process of "efferocytosis"?
1. Macrophages
2. T lymphocytes
3. B lymphocytes
4. NK cells

Correct answer: 1. Macrophages

Explanation: Cells that are dying by apoptosis also secrete soluble factors that recruit phagocytes, and macrophages themselves may produce proteins that bind to apoptotic cells (but not live cells), leading to their engulfment. Apoptotic bodies may also become coated with natural antibodies and proteins of the complement system, notably C1q, which are recognized by phagocytes. Thus, numerous ligands induced on apoptotic cells serve as "eat me" signals and are recognized by receptors on phagocytes that bind and engulf these cells. This process of apoptotic cell phagocytosis is called efferocytosis; it is so efficient that dead cells disappear, often within minutes, without leaving a trace.